Which of the following is not prion associated disease:
1. Scrapie
2. Kuru
3. Creutzfeldt-jakob disease
4. SSPE

Correct answer: 4. SSPE

Explanation: Scrapie latrogenic Creutzfeldt -Jakob disease ; Infection from prion contaminated human growth hormone, duramater graft, corneal transplant Kuru (human):Infection through ritualistic cannibalism Variant (CJD):Infection from bovine prion (Eating BSE infected beef) Familial CJD:Germline mutation in PRNP Sporadic CJD:Somatic mutation or spontaneous convention of PRPc into PRPsc Fatal familial insomnia:Germline mutation in PRNP Gestmann Strausster Scheinker:Germline mutation in PRNP Bovine spongiform encephalopathy Transmissible mink encephalopathy